Rate limiting enzyme in catecholamine synthesis?
1. Dopa decarboxylase
2. N-methyltransferase
3. Dopamine hydroxylase
4. Tyrosine hydroxylase

Correct answer: 4. Tyrosine hydroxylase

Explanation: Ans. is 'd' i.e., Tyrosine hydroxylase